The most common complication of ERCP
1. Acute pancreatitis
2. Acute Cholangitis
3. Duodenal perforation
4. Acute cholecystitis

Correct answer: 1. Acute pancreatitis

Explanation: ERCP carries additional risks. Pancreatitis occurs in about 5% of patients undergoing ERCP and is seen in up to 25% of patients with sphincter of Oddi dysfunction. Young anicteric patients with normal ducts are at increased risk. Post-ERCP pancreatitis is usually mild and self-limited but may infrequently result in prolonged hospitalization, surgery, diabetes, or death. Bleeding occurs after 1 % of endoscopic phincterotomies. Ascending cholangitis, pseudocyst infection, and retroperitoneal perforation and abscess may all occur as a result of ERCP. Common cause of pancreatitis 1. Gallstones (including microlithiasis) 2. Alcohol (acute and chronic alcoholism) 3. Hypertriglyceridemia 4. Endoscopic retrograde Cholangiopancreatography (ERCP), especially after biliary manometry 5. Trauma (especially blunt abdominal trauma) 6. Postoperative (abdominal and non abdominal operations) 7. Drugs (azathioprine, 6-mercaptopurine, sulfonarnides, estrogens, tetracycline, valproic acid, anti-HIV medications) 8. Sphincter of Oddi dysfunction.